Bull's eye retinal lesion is seen in toxic retinopathy due to :
1. Lead
2. Ethambutol
3. Chloroquine
4. OC Pills

Correct answer: 3. Chloroquine

Explanation: Chloroquine retinopathy, also known as Bull's eye maculopathy,is a retinopathy (damage of the retina) caused by the drugs chloroquine or hydroxychloroquine, which are sometimes used in the treatment of autoimmune disorders such as rheumatoid arthritis and systemic lupus erythematosus. This eye toxicity limits long-term use of the drugs. Ref : Rosenthal P.J. (2013). Chapter 35. Protozoal & Helminthic Infections. In M.A. Papadakis, S.J. McPhee, M.W. Rabow, T.G. Berger (Eds), CURRENT Medical Diagnosis & Treatment 2014.